A 32 week pregnant lady presents in emergency room with continuous bleeding per vaginum. The uterus is painful and tender. Most likely diagnosis is:
1. Circumvallate placenta
2. Rupture of membranes
3. Placenta previa
4. Accidental hemorrhage

Correct answer: 4. Accidental hemorrhage

Explanation: The above mentioned symptoms are usually seen in antepartum Hemorrhage. Most common type of APH is Accidental hemorrhage also known as abruptio placentae (32 percent) , Placenta pre (21 percent), and cervical bleeding (6.6 percent). Abruption will have painful bleeding which is due to intravasation of blood into the uterine muscle ( Couvulaire uterus).